Leagally injury is included in IPC section -
1. 43
2. 44
3. 45
4. 46

Correct answer: 2. 44

Explanation: Ans. is 'b' i.e., 44 o Medically, injury' is defined as any discontinuity or breach in the anatomy of body.o Legally, injury' is defined as any harm caused illegally to a person, i.e. to his mind, body, reputation or property (Sec 44 IPC).o Hurt is defined as any pain, disease, infirmity or deformity in the body part (Sec 319 IPC).o Criminal force is one which causes fear or hurt (Sec 350 IPC).o Assault is an offer or threat or attempt to apply force to body of another in a hostile manner (Sec 351 IPC). It may be a common assault or with intent of murder. Sec 352 to 358 IPC deal with punishments for various types of assaults.